Most emetogienic anticancer drugs (REAPEAT)
1. Cisplantin
2. Carboplatin
3. High dose cycloohosphamide
4. High dose Methotrexate

Correct answer: 1. Cisplantin

Explanation: Refer CMDT 2010/1508 Cisplantin. Cisplatin is the most emetogienic anticancer drugs